Hallucination is disorder of
1. Thought
2. Perception
3. Memory
4. Intelligence

Correct answer: 2. Perception

Explanation: B i.e. Perception